Rideal-Walker coefficient is related with?
1. Disinfect ing power
2. Parasitic clearance
3. Dietary requirement
4. Statistical correlation

Correct answer: 1. Disinfect ing power

Explanation: testing of disinfectants Phenol test ,riedal walker test are used to determine the efficacy of disinfectants In Riedal walker test,suspension containing equal number of typhoid bacilli are submitted to the action of varying concentration of phenol and of the disinfectant to be tested REF:Ananthanarayan and Panicker's Textbook ofMicrobiology 8thEdition pg no:38